Quartz in Dental porcelain is
1. Strengthener
2. Binder
3. Pigment
4. Crack minimizer

Correct answer: 1. Strengthener